Acute orchitis all are seen except
1. Increased local temperature
2. Decreased blood flow
3. Etythematous scrotum
4. Raised TLC

Correct answer: 2. Decreased blood flow

Explanation: ORCHITIS Mumps orchitis, which is the most common form of orchitis, develops in 20-30% of postpubertal patients with a mumps virus infection and it usually develops as the parotid swelling is waning. Evidence of IgM antibodies in the serum supports the diagnosis. The main complication is testicular atrophy, which may cause infertility if the condition is bilateral. Partial testicular atrophy is associated with persistent testicular pain. Syphilitic orchitis is now uncommon. It can cause bilateral orchitis (which is a feature of congenital syphilis), interstitial fibrosis, which causes painless destruction of the testis, or, rarely, it may lead to a gumma of the testis, which presents as a unilateral slowly growing painless swelling. The latter presentation may be difficult to distinguish from a neoplasm without surgical exploration. Diagnosis is confirmed by serology. Ref: Bailey and love 27th edition Pgno : 1506